Total fertility rate is defined as:
1. Number of children's born to woman over her lifetime
2. Number of girl children born to woman over her lifetime
3. Number of boy children born to woman over her lifetime
4. Number of girl children born to married woman in reproductive age group.

Correct answer: 1. Number of children's born to woman over her lifetime

Explanation: Ans. A: Number of children's born to woman over her The total fertility rate /TFR/ fertility rate/period total fertility rate (PTFR)/total period fertility rate (TPFR)) of a population is the average number of children that would be born to a woman over her lifetime if she were to experience the exact current age-specific fertility rates (ASFRs) through her lifetime, and she were to survive from birth through the end of her reproductive life. It is obtained by summing the single-year age-specific rates at a given time